Size of uterus in inches is:
1. 5x4x2
2. 4x3x1
3. 3x2x1
4. 4x2x1

Correct answer: 3. 3x2x1

Explanation: The uterus is a pear-shaped, thick-walled, muscular organ, situated between the base of the bladder and the rectum. The uterus measures about 8 cm long, 5 cm wide at the fundus and its walls are about 1.25cm thick. Its weight varies from 50-80 gm. It has got the following parts: 1) Body or corpus 2) Isthmus 3) Cervix. Note: The normal length of uterine cavity is 6.5-7 cm. Ref: Textbook of Obstetrics D.C.Dutta 6th Ed Page 79.